Woodruff's area is located at ?
1. Antero-inferior part of nasal septum
2. Posteroinferior part of nasal septum
3. Superior part of nasal septum
4. Posteroinferior part of lateral nasal wall

Correct answer: 4. Posteroinferior part of lateral nasal wall

Explanation: Posteriorly on the lateral nasal wall is the area known as Woodruff's area. It is situated under the posterior end of inferior turbinate.Sphenopalatine artery anastomoses with posterior pharyngeal artery, in this area.